All cause Rhinololia clausa except
1. Allergic Rhinitis
2. Adenoids
3. Palatal paralysis
4. Nasal polyps

Correct answer: 3. Palatal paralysis